Best method to treat large port-wine hemangiomas:-
1. Radiotherapy
2. Tattooing
3. Excision with skin grafting
4. Pulsed eye laser

Correct answer: 4. Pulsed eye laser

Explanation: Selective photothermolysis or pulsed eye laser is the treatment of choice for Port Wine hemangioma. Excellent results have been obtained with careful and time-consuming treatment with a 585-nm flashlamp-pumped pulsed eye laser. Treatment sessions can begin in babies and anesthesia is not always necessary.